Largest number of fibroblasts are found in
1. Cell free zone
2. Cell rich zone
3. Pulp proper
4. Odontoblastic layer

Correct answer: 2. Cell rich zone